The mean of the 25 patients' plasma volumes is 12.5 litres. Standard deviation is 0.25. Calculate standard error
1. 0.05
2. 0.5
3. 0.01
4. 0.1

Correct answer: 1. 0.05

Explanation: S.E = S/[?]n S = Standard deviation = 0.25 n = sample size = 25 S.E. = 0.25/[?] 25 = 0.25/5 = 0.05